Which among the following shows that pulmonary circulation differs from systemic circulation?
1. Pulmonary vasodilation in hypoxia
2. Pulmonary vasoconstriction in hypoxia
3. Decreased blood volume during systole
4. Increased basal vasoconstrictor tone

Correct answer: 2. Pulmonary vasoconstriction in hypoxia

Explanation: The vasoconstrictor response of the pulmonary circulation to low oxygen tension is exact opposite of response of systemic arterioles. The opposite effect in pulmonary vessels occurs in order to distribute the blood flow to better ventilated area and be more effective. This vasoconstriction occurs because of presence of potassium gated channel in pulmonary vessels. Ref: Barst R.J., Rubin L.J. (2011). Chapter 71. Pulmonary Hypertension. In V. Fuster, R.A. Walsh, R.A. Harrington (Eds), Hurst's The Heart, 13e.